Berlin's oedema occurs due to
1. Penetrating injury to eye
2. Blunt trauma to eye
3. Radiation injury to eye
4. Chemical injury to eye

Correct answer: 2. Blunt trauma to eye

Explanation: Also called commotio retinae is oedema at the macula due to blunt trauma .It present as cherry red spot at the macula Refer khurana 6/e 431